Mucormycosis of paranasal sinus is most common in
1. HIV
2. Diabetes
3. Those on immuno suppressants
4. Post surgical

Correct answer: 2. Diabetes

Explanation: MUCORMYCOSIS: Caused by - rhizopus , rhizomucor , cunninghamella Moulds with non septate hyphae The higher prevalence of mucormycosis in India turned out to be statistically significant (p < 0.0001) in comparison with all other countries Predisposing factors - Organ transplant recipients - Long term desferroxamine therapy - Immunosuppression due to steroids or cytotoxic drugs Hematological malignancy - Diabetics - Chronic renal failure Five forms Rhinocerebral (most common site) Pulmonary mucormycosis (2' most common) Cutaneous Gastrointestinal Disseminated Diagnosis: Microscopy and biopsy show organisms that appears as broad ribbon like usually non septate hyphae which branch at right angles